Eye lash infestation by pediculosis is caused by:
1. Pediculosis Capitis
2. Pediculosis corporis
3. Phthiriasis pubis
4. Hymenoptera

Correct answer: 3. Phthiriasis pubis

Explanation: Lice: Head lice Body lice Pubic lice Pediculosis capitis Pediculosis corporis Phthiriasis pubis Phthriasis palpebrarum - -rare eyelid infestation -cause: Phthiriasis pubis